A farmer has an ulcer on leg with indurated margin and multiple sinuses with discharging granules. The likely diagnosis is -
1. Mycetoma
2. Scrofuloderma
3. Lupus vulgaris
4. Actinomycosis

Correct answer: 1. Mycetoma

Explanation: Ans. is 'a' i.e., Mycetoma Mycetoma (Maduramycosis) . Is a localized chronic granulomatous involvement of the subcutaneous and deeper tissues, commonly affecting the foot and less often the hand and other parts. . Presenting as a subcutaneous swelling with multiple discharging sinuses. . Sinuses discharge seropurulent fluid containing granules. . These granules are microcolonies of the etiological agents. . A similar condition called botryomycosis is caused by staphylococcus aureus.